Which of the following statement is true about Rajiv Gandhi Shramik Kalyan Yojna scheme of ESI?
1. Beneficiary of this scheme are people with insurance rendered unemployed involuntarily.
2. Beneficiary are insured people rendered unemployed voluntarily.
3. This scheme doesn't provide medical care for beneficiaries & their family members.
4. Beneficiary are insured pregnant women with other illnesses.

Correct answer: 1. Beneficiary of this scheme are people with insurance rendered unemployed involuntarily.

Explanation: Rajiv Gandhi Shramik Kalyan Yojna scheme of ESI: Beneficiary : People with insurance, rendered unemployed involuntarily d/t retrenchment / closure of factory / permanent invalidity arising out of non-employment injury etc. People contributed under this scheme for >= 5 yrs, are entitled to claim unemployment allowance for max period of 6 months during his/her entire service. During this period, he/she is eligible for medical care for themselves & his/her family from ESI dispensaries/ panel clinics & ESI hospitals to which he/she was attached prior to date of loss of employment.